Vectors may transmit infection by all of the following methods, EXCEPT:
1. Ingestion
2. Regurgitation
3. Rubbing of infected faeces
4. Contamination with body fluids

Correct answer: 1. Ingestion

Explanation: Methods by which vectors transmit an infectious agents are: Biting Regurgitation Scratching in infected faeces Contamination of host by body fluids of vectors Ref: Preventive and Social Medicine, by K.Park, 19th edition, Page 92.